True about keloid scar is
1. Non-familial, common in children, males affected
2. Non-familial, does not outgrow the margin, blacks are affected.
3. Familial, females are affected, outgrows the margins
4. Familial, men affected, whites affected more

Correct answer: 3. Familial, females are affected, outgrows the margins